Autopsy of spleen of a patient with portal hypertension shows Gamna-Gandy bodies. It contains hemosiderin and:
1. Na+ B
2. Ca++
3. Mg++
4. Ca

Correct answer: 2. Ca++

Explanation: Gamna-Gandy bodies are foci containing linear, bamboo-like fibrous tissue and collagen fibres encrusted with iron pigments and calcium salts. They are seen in long standing congestion of the spleen as in portal hypertension, infarcts, or foci of parenchymal trauma. It is also seen in sickle cell anemia. Ref: Essentials of Rubin's pathology edited by Emanuel Rubin, Howard M. Reisner, 2009, Page 118.